What is a not a criteria to establish causal association ?
1. Temporal association
2. Sensitivity of association
3. Consistency of association
4. Coherence of association

Correct answer: 2. Sensitivity of association

Explanation: Ans. is 'b' i.e., Sensitivity of association Criteria that suggest causal relationship (Bradford Hill's criteria) Likehood of a causal relationship is increased by the presence of the following criteria. 1) Temporal association 2) Strength of association 3) Specificity of association 4) Consistency of association 5) Biological plausibility 6) Coherence of association Hill's criteria (sometimes also known as 'Surgeon general's Criteria' of causal association): in epidemiology are Analogous to Koch's Postulates (of causal association between a microbe and disease) in microbiology.